The following is not a feature of Alzheimer's disease-
1. Neurofibrillary tangles
2. Senile (neuritic) plaques
3. Amyloid Angiopathy
4. lewy bodies

Correct answer: 4. lewy bodies